Portocaval anustomoses is seen at ?
1. Esophagus
2. Stomach
3. Duodenum
4. Jejunum

Correct answer: 1. Esophagus

Explanation: Ans. is 'a' i.e., Esophagus